A 48 year old male who has HIV presents with lab reports showing: Low albumin, massive proteinuria, renal ultrasound showing large, echogenic kidneys. Blood pressure is normal. Which of the following is the most likely cause?
1. Minimal change disease
2. IgA nephropathy
3. Focal segmental glomerulosclerosis
4. Membranoproliferavtive glomerulonephritis

Correct answer: 3. Focal segmental glomerulosclerosis

Explanation: This patient with HIV presents with massive protienuria and hypoalbuminemia, suggestive of HIV-1-associated nephropathy (HIVAN) - A form of Focal segmental glomerulosclerosis (FSGS). Proteinuria is the hallmark of this disorder. Edema and hypertension are rare. A definitive diagnosis is obtained through renal biopsy. Histologically, focal segmental glomerulosclerosis is present in 80%, and mesangial proliferation in 10-15% of cases. Reference: Ananthanarayan and Paniker's Textbook of Microbiology Tenth edition